Mikulicz's disease is
1. An inflammatory disease
2. Neoplastic disease
3. An autoimmune disease
4. Viral infection

Correct answer: 3. An autoimmune disease